Direct Fick method of measuring cardiac output requires estimation of:
1. 02 content of arterial blood
2. 02 consumption per unit time
3. 02 content of blood from right ventricle
4. All of the above

Correct answer: 4. All of the above

Explanation: All of the above